According to PALS, which of the following is not included in initial impression?
1. Consciousness
2. Color
3. Airway
4. Breathing

Correct answer: 3. Airway

Explanation: Initial impression includes: Consciousness Breathing Color. Airway is included in Primary assessment. Reference: GHAI Essential pediatrics, 8th edition